Frequency of breech presentation in pregnancy at term is :
1. 0.10%
2. 1%
3. 3%
4. 10%

Correct answer: 3. 3%

Explanation: 3%